Partial-Birth Abortion Ban Act parts passed in ?
1. 1995
2. 2000
3. 2003
4. 2008

Correct answer: 3. 2003

Explanation: Ans. is 'c' i.e.,2003 Partial-Birth Abortion Ban act was a bill introduced in the congress of united states in 1995.It was passed in 2003.